Atropine causes all except:
1. Bronchoconstriction
2. Tachycardia
3. Dry mouth
4. Mydriasis

Correct answer: 1. Bronchoconstriction

Explanation: Ans: A i.e. Bronchoconstriction Effects of atropine Atropine causes bronchodilatation and reduced airway resistance, especially in COPD and asthma patients The most prominent effect of atropine is to cause tachycardia Atropine markedly decreases sweat, salivary (dry mouth), tracheobronchial and lacrimal secretion (M3 blockade) Topical instillation of atropine causes mydriasis, abolition of light reflex and cycloplegia lasting 7-10 days